Most Commmon cause of chronic osteomyelitis -
1. Staphylococcus aureus
2. Streptococcus pyogenes
3. Mycobacterium tuberculosis
4. Staphylococcus epidermidis

Correct answer: 1. Staphylococcus aureus

Explanation: Ans. is 'a' i.e., Staphylococcus aureus o Chronic osteomyelitis is nearly always a sequel to acute osteomyelitis,o Occasionally infection is subacute or chronic from the begining.o As with acute osteomyelitis, the most common causative organism is staphylococcus areus.